The worldwide point prevalence of schizophrenia is best estimated as?
1. 1%
2. 2.50%
3. 5%
4. 10%.

Correct answer: 1. 1%

Explanation: The worldwide point prevalence of schizophrenia is 1%.